Which of the following statements about warfarin group of oral anticoagulants is FALSE?
1. They interfere with an early step in the synthesis of clotting factors
2. Irrespective of the dose administered, their anticoagulant effect has a latency of onset of 1-3 days
3. Their dose is adjusted by repeated measurement of prothrombin time
4. They are contraindicated during pregnancy

Correct answer: 1. They interfere with an early step in the synthesis of clotting factors

Explanation: Activation of factor II, VII, IX and X are inhibited by warfarin group of oral anticoagulants in presence of vitamin K These anticoagulants do not affect the synthesis of these factors.